Stress ulcers are caused by all of the following Except
1. Burns
2. Catisol therapy
3. penicillin therapy
4. Pulmonary insufficiency

Correct answer: 3. penicillin therapy

Explanation: Stress ulcer occurs as a sequel of serious illness like pulmonary insufficiency or injury due to burns or can be due to long-term application of cortisol. Bailey and love's edition 24, page no:1036